A 65-year-old man has anemia, splenomegaly, and extramedullary hematopoiesis. He has experienced easy fatigability, weightloss, and weakness. Bone marrow biopsy reveals marked proliferation of fibrous tissue (myelofibrosis) Which of the following is a characteristic finding in this disorder?
1. Depletion of bone marrow megakaryocytes
2. Teardrop-shaped erythrocytes
3. Autosplenectomy
4. Neoplastic plasma cells in the bone marrow

Correct answer: 2. Teardrop-shaped erythrocytes

Explanation: Agnogenic (idiopathic) myeloid metaplasia is characterized by extensive non-neoplastic myelofibrosis and extramedullary hematopoiesis resulting in hepatosplenomegaly. Teardrop-shaped erythrocytes, as well as scattered nucleated red cells and granulocytic precursor cells, can be found in the peripheral blood smear. Although marrow myeloid (granulocytic) and erythroid precursor cells are depleted, megakaryocytes tend to be spared and even increased in number